The following is not myelinated
1. A
2. B
3. C
4. All

Correct answer: 3. C

Explanation: According to erlanger and gasser classification type c fibers are not myelinated They are small fibers wiwi small diameter and least conduction velocity Ref:Guyton and Hall textbook of medical physiology 12th edition,page number:73